Fleischer ring is characteristic of –
1. Megalocornea
2. Diabetes
3. Chalcosis
4. Keratoconus

Correct answer: 4. Keratoconus

Explanation: Some guides have also given option c as the answer, which is incorrect.
Some confusion exists between Fleisher rings and kisser- Fleischer (KF) ring. Kayser- Fleischer(KF) rings are caused by copper deposits and are indicative of Wilson's disease, whereas Fleischer rings are caused by iron deposits and are indicative of keratoconus.
Cornea is thin (not thick).
Rigid gas permeable contact lenses (not soft contact lenses) are used.